All take part in anastomosis in Little's area except
1. Anterior ethmoid artery
2. Sphenopalatine artery
3. Post ethmoid artery
4. Greater palatine artery

Correct answer: 3. Post ethmoid artery

Explanation: Kiesselbach’s plexus is situated in the Little’s area which is the anterior inferior part of the septum, Anterior ethmoidal,
septal branch of superior labial, greater palatine and sphenopalatine arteries for the plexus.